Parkland formulas used for Burn's resuscitation is:
1. 4 mL/kg/% TBSA
2. 5 mL/kg/% TBSA
3. 6 mL/kg/%TBSA
4. 8 mL/kg/% TBSA

Correct answer: 1. 4 mL/kg/% TBSA

Explanation: In children with burns, Parkland formula is an appropriate starting guideline for fluid resuscitation (4 mL lactated Ringer solution/kg/% TBSA burned) (TBSA - Total body surface area) Half of the fluid is given over the 1st 8 hr; remaining half is given in next 16 hours